Which of the following weakest phase of the set amalgam:
1. Beta-2
2. Gamma
3. Gamma-1
4. Gamma-2

Correct answer: 4. Gamma-2